Thoracic duct injury causes all of the following:a) Chylothoraxb) Lymphedemac) Lymphopeniad) Dehydratione) Electrolyte disturbance
1. bce
2. bde
3. abcd
4. acde

Correct answer: 4. acde